Most common site of urethral carcinoma is men is
1. Bulbomembranous urethra
2. Penile urethra
3. Prostatic urethra
4. Fossa navicularis

Correct answer: 1. Bulbomembranous urethra

Explanation: There is a high prevalence of primary urethral cancer in the bulbomembranous urethra, which is also the most common location of urethral strictures. Squamous carcinoma can develop in an area of squamous metaplasia sometimes seen with a urethral stricture. Reference : page 1370 Bailey and Love's short practice of surgery 25th edition